Garre's osteomyelitis is
1. Chronic
2. Usually seen in mandible
3. Sclerosis of diaphysis of long bones
4. All of the above

Correct answer: 4. All of the above